Which Cells of Liver plays role in absorption of Vit.A and Vit.D?
1. Kuppfer cells
2. Stellate Cells of Ito
3. Stem Cells
4. Sinusoids

Correct answer: 2. Stellate Cells of Ito

Explanation: Kuppfer Cells are modified macrophages present in Sinusoids and capture antigens by Pseudopodia Sinusoids are fenestrated having non continuous endothelium and helps in transfer of contents into perisinusoidal space of disse Stellate Cell of Ito are present in "space of disse" and helps in absorption of vit. A and D